The average fatal period of copper poisoning is
1. 30-60 minutes
2. 1-3 days
3. 3-7 days
4. 7-14 days

Correct answer: 2. 1-3 days

Explanation: B i.e. 1 - 3 days